Temperature in autoclaving -
1. 160degC for 45 minutes
2. 170deg for 18 minutes
3. 120degC for 15 minutes
4. 126degC for 20 minutes

Correct answer: 3. 120degC for 15 minutes

Explanation: Ans. is 'c' i.e., 120degC for 15 minutes MethodTemperature (degC)Holding time (in minutes)Autoclave12115 12610 1343Hot air oven16045 17018 1807.5 1901.5